Down's syndrome most commonly occurs due to
1. Reciprocal translocation
2. Nondysjunction in maternal meiosis
3. Translocation defect
4. Nondysjunction in paternal meiosis

Correct answer: 2. Nondysjunction in maternal meiosis

Explanation: Down syndrome occurs due to trisomy 21. In 97% of cases it occurs as result of non dysfunction of chromosome during maternal meiosis. Reference : Nelson TB of pediatrics 19th edition pg 402.